Most frequent cause of recurrent genital ulcers in a sexually active male is:
1. Syphilis
2. Chancroid
3. TB
4. Herpes

Correct answer: 4. Herpes

Explanation: Herpes typically causes recurrent genital ulcers, as the virus remains in dormant stage in the nerve ganglia after first episode which causes relapse after becoming active.